Which of the following casts seen in urinary sediment is suggestive of acute renal failure?
1. Amorphous cast
2. Epithelial cell cast
3. White cell cast
4. Hyaline cast

Correct answer: 2. Epithelial cell cast

Explanation: Hyaline cast is seen in nephrotic syndrome which results from protein escaped into the urine. A small number of hyaline casts may be seen in normal individuals (less than 100 mg of protein is excreted in urine/day). Most of the proteins are secretion of renal tubular epithelial cells known Tamm-horsfall protein). White cell casts are seen in renal inflammatory conditions like pyelonephritis. Red cell casts are suggestive of acute glomerulonephritis. Epithelial casts and large wide casts are seen in patients with acute renal failure. Ref: Kreder K.J., Williams R.D. (2008). Chapter 5. Urologic Laboratory Examination. In E.A. Tanagho, J.W. McAninch (Eds), Smith's General Urology, 17e.